Clostridia is?
1. Gram positive aerobe
2. Gram positive obligate anaerobe
3. Gram negative rods
4. Gram negative bacillus

Correct answer: 2. Gram positive obligate anaerobe

Explanation: Gram positive obligate anaerobe REF: Jawetz's microbiology 24th edition chapter 12 "The clostridia are large anaerobic, gram-positive, motile rods"